The loading dose of Aminophylline is-
1. 50-75 mg/kg
2. 0.5-1.0 mg/kg
3. 2.0-3.5 mg/kg
4. 5-6 mg/kg

Correct answer: 4. 5-6 mg/kg

Explanation: Ans. is 'd' i.e. 5-6 mg/kg o Aminophylline is a preparation of theophylline, where theophylline is complexed with EDTA. o The i.v. injection must be slow (loading dose of 5 mg/kg over 20 min followed by an infusion of 9 mg/kg/h, adjusted according to subsequent plasma theophylline concentrations).